All are indicators of 'Physical Quality Life Index' except:
1. Real GDP Per capita income
2. Literacy
3. Life expectancy at age one
4. Infant Mortality

Correct answer: 1. Real GDP Per capita income

Explanation: Ref: Park 'Textbook of Preventive and Social Medicine 22nd edition, Pg: 16Explanation:Physical Quality of life index (PQLI)Consolidates three indicators* Infant mortality* Life expectancy at age one* LiteracyRange - 0 to 100